Which of the following malformation in a newborn is specific for maternal insulin dependent diabates mellitus ?
1. Transposition of great arteries
2. Caudal regression
3. Holoprosencephaly
4. Meningomyelocele

Correct answer: 2. Caudal regression

Explanation: Caudal regression syndrome or sacral agenesis ( which is very rare ) is the congenital defect which is specific for maternal insulin dependent diabates mellitus. It is the abnormal fetal development of the lower spine--the caudal partition of the spine. Reference : page 243 Textbook of Obstetrics Sheila Balakrishnan 2nd edition